Fall in alkalinity of Ca(OH)2 wheh used as a root canal dressing starts at
1. 1 week
2. 2 week
3. 4 week
4. 12 week

Correct answer: 1. 1 week